Prozone phenomenon is due to-a) Excess antigenb) Excess antibodyc) Hyperimmune reactiond) Disproportionate antigen-antibody levels
1. bd
2. d
3. ab
4. ac

Correct answer: 1. bd